Not a Cause of Salt & Pepper retinopathy
1. Congenital Syphilllis
2. Rubella
3. Thioridazine
4. Healed macular edema

Correct answer: 4. Healed macular edema

Explanation: Salt and pepper retinopathy: Fundoscopic examination reveals granular, pigmentary mottling in the macula and periphery, with punctuate hypopigmentation & hyperpigmentation Causes of Salt & Pepper retinopathy * Congenital Syphilllis * Rubella * Thioridazine *Birdshot chorioretinopathy * Stargardt (rarely)